Rosettes found at the lidmargin are a feature of
1. Squamous blepharitis
2. Bacterial blepharitis
3. Stye
4. Chalazion

Correct answer: 2. Bacterial blepharitis

Explanation: Anterior lid margin shows dilated blood vessels (rosettes) is seen in Bacterial Blepharitis (Ulcerative blepharitis).